Blood culture is positive in which infection of Staphylococcus aureus is
1. TSS
2. SSSS
3. Infective endocarditis
4. Impetigo

Correct answer: 3. Infective endocarditis

Explanation: Infections caused by methicillin-sensitive S aureus, high-magnitude bacteremia (defined as >4 positive blood cultures ), and endocarditis. The most important test is a blood culture used to identify bacteria in the bloodstream. REFERENCE: www.mayoclinic.org